Pediatric fracture of mandible pattern is typically seen as:
1. Downwards and forwards.
2. Downwards and backwards.
3. Zig zag pattern due to presence of tooth buds.
4. Comminuted fractures.

Correct answer: 3. Zig zag pattern due to presence of tooth buds.

Explanation: A high tooth-to-bone ratio exists in the pediatric bone. Fractures frequently occur through developing tooth crypts, giving a zig-zag appearance of fracture line.